Preferred material for femoro popliteal bypass-
1. Dacron
2. PTNE
3. Saphenous vein
4. Gortex

Correct answer: 3. Saphenous vein